What is false about bilirubin?
1. Conjugation is rate limiting step
2. Bilirubin has affinity for elastin
3. Total Hb content of body is 750 gm
4. Normal serum bilirubin concentration ranges from 0.3-1.3 mg/dl, about 80% of which is unconjugated

Correct answer: 1. Conjugation is rate limiting step

Explanation: TEXT BOOK OF HARSH MOHAN SIXTH EDITION PAGE.593 Bilirubin is a yellow compound that occurs in the normal catabolic pathway that breaks down heme in vertebrates. This catabolism is a necessary process in the body's clearance of waste products that arise from the destruction of aged or abnormal red blood cells